Pseudopolyps is a characteristic of which condition-
1. Ulcerative Colitis
2. Crohn's disease
3. CA Colon
4. Diverticulosis

Correct answer: 1. Ulcerative Colitis

Explanation: Ans. is 'a' i.e., Ulcerative Colitis FeaturesUlcerative colitisCrohn's dso Rectal involvement> 90% *Rectum spared in > 50%o Distribution of lesionsContinuous*Skip lesions*o Mucosal appearanceFriable, diffusely involvedCobblestone* appearanceo Associated ileal*10%, mild, terminal ileal Inflammation50% have combined ileal and colonic involvement.o Perianal abcess, fistulasRareCommono Intestinal strictures & obstructionNot seenCommono Intestinal fistulasNot seenCommono Fissures (Radiological)Not seenCommono Toxic megacolon*Rare but more than crohns dsVery rareo Extraintestinal Manifestation : # Sclerosing pericholangitisCommon*Rare# Uveitis & ArthritisCommon*Common*# Pyoderma gangrenosumCommonRarePathological Features o Depth of inflammationMucosal*Transmural*o Creeping mesentric fatNot seenCommon*o Fibrous thickening of wallCommon (lead pipe)Rareo PseudopolypsCommon*Rareo GranulomasNot seenCommon*o DysplasiaCommon*Rareo Carcinoma10%*Rare